40 year old patient presented with excessive skin pigmentation of face neck and extensor aspects of forearms having diabetes and arthropathy and Dyspnoea on exertion, class III. Clinical examination revealed hepatosplenomegaly and spider angioma. All are true about this condition, except:
1. Caused by a mutant gene termed HFE
2. Risk of hepatocellular carcinoma is very high
3. Females are commonly affected
4. The most common cardiac manifestation is CCF

Correct answer: 3. Females are commonly affected

Explanation: The diagnosis is hemochromatosis. Major manifestations of haemocromatosis are cirrhosis, diabetes, arthritis, cardiomyopathy, hypogonadism. Males are commonly involved than females, as females have regular mentraul periods where there is a blood loss.